Select the drug that is active against both HIV and hepatitis B virus :
1. Lamivudine
2. Indinavir
3. Didanosine
4. Efavirenz

Correct answer: 1. Lamivudine